Mucoviscidosis is most commonly related to ?
1. Fibrocystic disease of pancreas
2. Duodenal atresia
3. Diaphragmatic hemia
4. Annular pancreas

Correct answer: 1. Fibrocystic disease of pancreas

Explanation: Ans. is 'a' i.e., Fibrocystic disease of pancrease